Causative organism of food poisoning due to home canned food:
1. Bacillus cereus
2. Salmonella
3. Clostridium botulinum
4. Staphylococci

Correct answer: 3. Clostridium botulinum

Explanation: Ans. Clostridium botulinum